Apple jelly nodules on the nasal septum are found in case of?
1. Tuberculosis
2. Syphilis
3. Lupus Vulgaris
4. Rhinoscleroma

Correct answer: 3. Lupus Vulgaris

Explanation: Lupus vulgaris is a low-grade tuberculous infection commonly affecting nasal vestibule or the skin of nose and face. The skin lesions manifest characteristically as brown, gelatinous nodules called "apple -jelly" nodules. In the vestibule, it presents as chronic vestibulitis.perforation may occur in the cartilaginous part of the nasal septum. Treatment is the same as for tuberculosis. (Ref - PL DHINGRA diseases of ear nose and throat, 7th edition, page no 176)